Meralgia paresthetica is due to involvement/injury of which of the following nerve ?
1. Medial cutaneous nerve of thigh
2. Lateral cutaneous nerve of thigh
3. Sural nerve
4. Femoral nerve

Correct answer: 2. Lateral cutaneous nerve of thigh

Explanation: Meralgia paresthetica is due to the involvement of lateral cutaneous nerve of thigh . *type - idiopathic , spontaneous , iatrogenic * clinical features - pain ,numbness, & paresthesia along the anterolateral aspect of thigh *Diagnostic test -if there is relief if pain after & paresthesia after injecting local anaesthetic * treatment : conservative - idiopathic : improve by removal of compressive agent ,NSAIDS & local steroid injection - iatrogenic : care should be exercised during pelvic surgery : surgery - neurolysis or transection of the nerves REF:textbook of orthopedics, John Ebenezer,4th edition,pg.no.347